A 11 month old child presents with complaints of respiratory distress. On examination there is bilateral crepitation and wheezing. Which of the following is the most likely cause –
1. Pneumonia
2. Adenovirus
3. Respiratory synchytial virus
4. Rhinovirus

Correct answer: 3. Respiratory synchytial virus

Explanation: The child presenting with respiratory distress and bilateral crepitations and wheezing, we have to suspect brochiolitis.

Differential diagnosis of diseases which are frequently asked